A middle aged female presents with polyarthritis with elevated rheumatoid factor ANA analevels, which among the following will help you to differentiate rheumatoid arthritis from SLE?
1. Soft tissue swelling at the proximal inter phalangial joint
2. Juxta articular osteoporosis or X-ray
3. Articular erosions on X-ray
4. Elevated ESR

Correct answer: 3. Articular erosions on X-ray

Explanation: Joint erosions is not a feature of SLE . It is only seen in some conditions such as Rheumatoid arthritis Gout Psoriatic arthritis Reiter's disease Erosive OA Hemophilia IBD Ankylosing spondolytis Ref - pubmed.com